Good-pasture syndrome is not characterized by ?
1. Anti GBM
2. Crescents
3. Pulmonary hemorrhage
4. Diffuse alveolar damage

Correct answer: 4. Diffuse alveolar damage

Explanation: Ans. is 'd' i.e., Diffuse alveolar damage There is focal necrosis (not diffuse) of alveolar walls.